Banglore method is
1. Controlled tipping
2. Aerobic Composting
3. Anaerobic Composting
4. Sanitary landfill

Correct answer: 3. Anaerobic Composting

Explanation: Ans. is 'c' i.e., Anaerobic Composting There are two methods of composting :Banglore method (Anaerobic hot fermentation process) : Alternate layers of refuse and night soil in proportion of 3:1, with refuse layer both as lowermost as well as uppermost (topmost).Indore method or mechanical composting (aerobic process).